Cluster of nests of squamous epithelial cells found microscopically in tissue taken from approximate site used by dentist for injection of Inferior alveolar nerve
1. Juxtra oral organ of Chievitz
2. Max Joseph organ
3. Both
4. None

Correct answer: 1. Juxtra oral organ of Chievitz

Explanation: The juxtaoral organ is a small structure located within the soft tissue overlying the angle of the mandible in the buccotemporal space. It is composed of an epithelial parenchyma embedded in a highly organized connective tissue stroma rich in nerves and sensory receptors innervated by the buccal nerve. This metabolically active structure presumably serves as a mechanosensor in the lateral wall of the oral cavity. Needless surgical removal of this juxtaoral structure is therefore best avoided. In children, the normal organ may be discovered as a small mass in the cheeks, which may lead to extensive and unnecessary investigations. Hyperplasia of the parenchyma may occur, but carcinoma originating from this organ has not been reported.
Conclusion: Awareness of this normal anatomic structure is important, because the finding of epithelial islands intimately admixed with nerves could be misinterpreted as perineural invasion by carcinoma.